'Homans' sign is seen in
1. Deep vein thrombosis
2. Pulmonary embolism
3. Peripheral vascular disease
4. Lymphanitis

Correct answer: 1. Deep vein thrombosis

Explanation: Signs are seen in DVTHoman's sign: calf pain on dorsiflexion of the footBancroft's sign or Moses' sign: pain is elicited when the calf muscle is compressed These signs are neither sensitive nor specific for the presence of thrombosis, and not done in fear of dislodgment of clotRef: Bailey and Love 27e pg: 281